A 26 years old male came with single hypopigmented skin lesion over forearm with loss of sensation. split skin smear was done and it was negative.How do you treat this patient?
1. T-Rifampicin 600 mg  &T-clofazimine 600 mg once in month and T-clofazimine 50 mg daily + T. Dapsone 100 mg daily for  10 months
2. T-Rifampicin 600 mg  & T-clofazimine 300 mg once in month and T-clofazimine 100 mg daily + T. Dapsone 50 mg daily for  6 months
3. T-Rifampicin 600 mg  &T-clofazimine 300 mg once in month and T-clofazimine 100 mg daily + T. Dapsone 100 mg daily for  12 months
4. T-Rifampicin 600 mg  &T-clofazimine 300 mg once in month and T-clofazimine 50 mg daily + T. Dapsone 100 mg daily for  6 months

Correct answer: 4. T-Rifampicin 600 mg  &T-clofazimine 300 mg once in month and T-clofazimine 50 mg daily + T. Dapsone 100 mg daily for  6 months

Explanation: Single skin patch,absence of sensation,SSS : negative suggests of paucibacillary leprosy infection.